True regarding adies tonic pupil
1. More common in young males
2. Caused by damage to ciliary ganglion
3. Segmental iris dilation
4. Hypersensitivity to tropicamide

Correct answer: 2. Caused by damage to ciliary ganglion

Explanation: It is caused by damage to the postganglionic fibers of the parasympathetic innervation, ciliary ganglion, of the eye, usually by a viral or bacterial infection which causes inflammation and affects the pupil of the eye and ANS Adie Tonic Pupil: Mc in young women, 80 % u/l A/w loss of deep tendon reflex (Adie's syndrome), impaired sweating Caused by damage to the postganglionic fibers of the parasympathetic innervation, ciliary ganglion, of the eye, usually by a viral or bacterial infection which causes inflammation and affects the pupil of the eye and ANS. Characterized by delayed dilation of iris & segmental iris constriction Segmental iris constriction Hypersensitivity of pupil to pilocarpine